Which of the following is not an antiepileptic agent?
1. Phenytoin
2. Flunarizine
3. Topiramate
4. Carbamazepine

Correct answer: 2. Flunarizine

Explanation: Ans. is 'b' i.e., Flunarazine o Phenytoin, Topiramate and carbamezepine are antiepileptics,o Flunarizine is a Ca+2 channel blocker used for the prophylaxis of migraine.Mechanism of action of different antiepiiepticsProlongation of Na+ channel inactivationo Phenytoino Carbamazepineo Valproateo Lamotrigineo Topiramateo ZonisamideFacilitation of GABA mediated Cl- channel openingo Barbiturateso Benzodiazepineo Vigabatrino Valproateo Gabapentino TiagabineInhibition of T type Ca++ currento Ethosuximideo Trimethadioneo ValproateDecrease of excitatory neurotransmissiono Felbamale (Katzung 10th/e 382)